Which of the following cannot be phosphorylated using protein kinase
1. Aspergine
2. Threonine
3. Serine
4. Tyrosine

Correct answer: 1. Aspergine

Explanation: Protein kinase mostly add phosphoryl group to a serine, threonine or tyrosine residues.